At the end of isometric relaxation phase :
1. Atrioventricular valves open
2. Atrioventricular valves close
3. Corresponds to peak of "C" wave in JVP
4. Corresponds to T wave in ECG

Correct answer: 1. Atrioventricular valves open

Explanation: A i.e. Atrioventricular value open